Which of the following is used for isolation for chlamydia -
1. Microimmunofluorescence
2. Yolk sac inoculation
3. ELISA
4. Immunofluorescence

Correct answer: 2. Yolk sac inoculation